Partner treatment is needed in:
1. Gardnerella
2. Candida
3. Herpes
4. Trichomoniasis

Correct answer: 4. Trichomoniasis

Explanation: Partner also has to be treated in case of Trichomoniasis. Partner treatment is not required in gardnerella, Candida, Herpes.